A female on maize as staple diet Its diarrhea and lesion in the neck region It is deficiency of
1. Niacin
2. Zinc
3. thiamine
4. Riboflavin

Correct answer: 1. Niacin

Explanation: ref : lippincott 6th ed